Keisselbach's plexus is present at ?
1. Medial wall of nasopharynx
2. Lateral wall of nasal cavity
3. Anteroinferior part of nasal septum
4. Posterior part of the nasal cavity

Correct answer: 3. Anteroinferior part of nasal septum

Explanation: Ans. is 'c' i.e., Anteroinferior part of nasal septum